Most important pre-requisite in sanitary latrine is :
1. Squatting plate or slab
2. Water seal
3. Smooth slope of pan
4. Adequate drainage

Correct answer: 2. Water seal

Explanation: Water seal Water seal: The most important part in a sanitary latrine is the water seal. The water seal is the distance between the level of water in the trap & the lowest point in the concave upper surface of the trap It has two important functions It prevents access by flies It prevents escapes of odors & foul gases The depth of water seal in the RCA latrine is 2 cm